Calcification of the aortic valve is seen in -
1. Aortic stenosis
2. Aortic regurgitation
3. Marfan's syndrome
4. Hurler's syndrome

Correct answer: 1. Aortic stenosis

Explanation: Ans. is 'a' i.e., Aortic Stenosits The most frequent calcific valvular diseases are ? Calcific aortic stenosis Calcification of a congenitally bicuspid aortic valve. Mitral annular calcification